Centrilobular necrosis of liver may be seen with ?
1. Phosphorus
2. Arsenic
3. Ethanol
4. CC14

Correct answer: 4. CC14

Explanation: Ans. is 'd' i.e., CC14